Which among the following is ANCA negative?
1. Wegener's granulomatosis
2. Microscopic polyangitis
3. Polyarteritis nodosa
4. Churg-Strauss syndrome

Correct answer: 3. Polyarteritis nodosa

Explanation: Ans: c (PAN) Ref: Robbins, 7th ed, p. 539 & Harrison, 16th ed, p. 2002"PAN has no association with ANCA"More about PAN:* Vasculitis of medium sized/small muscular arteries sparing pulmonary circulation* Characteristic -- All stages of inflammation coexist in different vessels.Microaneurysms (< 1 cm) - but not pathognomonic* 30% patients have hepatitis B Ag in their serum* MC organ system involved -- musculoskeletal > renal* MC cause of death -- gastrointestinal* Involvement of venules is suggestive of microscopic polyangitis